Best radiographic view for fracture of C1, C2 vertebrae is
1. AP view
2. Odontoid view
3. Lateral view
4. Oblique view

Correct answer: 2. Odontoid view

Explanation: B i.e. Odontoid View Open mouth odontoid (peg) view is the best radiographic view to visualize upper cerical C1, C2 vertebraeQ. Atlanto-axial (C1-C2) articulation and integrity of dens & body of C2 are best seen on the odontoid viewQ.